A 30- years old female presented with unilateral breast cancer associated with axillary lymph node enlargement. Modified radical mastectomy was done, further treatment plan will be:
1. Observation and follow-up
2. Adriamycin based chemotherapy followed by tamoxifen depending on estrogen/progesterone receptor status
3. Adriamycin based chemotherapy only
4. Tamoxifen only

Correct answer: 2. Adriamycin based chemotherapy followed by tamoxifen depending on estrogen/progesterone receptor status

Explanation: Ans. (b) Adriamycin based chemotherapy followed by tamoxifen depending on estrogen/progesterone receptor status* A case of LABC- MRM is followed by - CAF+ Hormone therapy based on ER +/-